13 year old female having sudden onset high grade fever with delirium. CT. finding s/o involvement of limbic system & medial temporal lobe - Dx is
1. Subarachnoid hemorrhage
2. Herpes simplex encephalitis
3. Pyomeningitis
4. Cerebral malaria

Correct answer: 2. Herpes simplex encephalitis

Explanation: Ans. is 'b' i.e., Herpes simplex encephalitis Herpes simplex encephalitis Acute necrotising infection involving frontal, temporal lobe & limbic system. Feature Non specific - fever, headache, nuchal rigidity. convulsion, altered sensorium. Confirmed by CSF examin & radio imaging. Treatment supportive and Acyclovir